All the following are true about Upper End Of Tibia EXCEPT:
1. Ossification centre for the upper end fuses by 18 years
2. Meniscal Cartilage is attached to the Intercondylar Area
3. Gives attachment to Semimembranosus
4. Posterior aspect of Patella articulates with Upper End Of Tibia laterally

Correct answer: 4. Posterior aspect of Patella articulates with Upper End Of Tibia laterally

Explanation: Patella has no articulation with Tibia; it is articulated to Femur Only. Ossification: Secondary Centre for the Upper End is present at birth and fuses with the shaft by 16 years in females and 18 in males. Both Medial and Lateral menisci are attached to the Intercondylar Area on tibia. Semi-membranosus muscle is attached to the medial condyle of tibia, posteriorly.